35-year-old man who is afraid of heights is instructed to stand in the observation tower of the Empire State Building and look down from the window until he is no longer afraid. After three visits to the tower each lasting 1 hour, the man is no longer afraid of heights. Which of the following management techniques does this example illustrate?
1. Implosion
2. Biofeedback
3. Aversive conditioning
4. Flooding

Correct answer: 4. Flooding

Explanation: The management technique described here is flooding, a treatment technique for phobias. In flooding, a person is exposed to an overwhelming dose of the feared stimulus or situation. In this case, heights until he or she is no longer afraid.